The maximum contribution to the floor of the orbit is by -
1. Maxilla
2. Sphenoid
3. Palatine
4. Zygomatic

Correct answer: 1. Maxilla

Explanation: The orbital floor is mainly formed by the orbital surface of the maxilla.
Other contributions are:-


The lower part of the orbital surface of the zygomatic bone, anterolaterally.
The orbital process of palatine bone at the posterior angle.